Mechanism of action of vancomycin is:
1. Cell wall synthesis inhibition
2. Protein synthesis inhibition
3. Increase in membrane permeability
4. Inhibition of folic acid metabolism

Correct answer: 1. Cell wall synthesis inhibition

Explanation: Vancomycin is a transglycosylase inhibitor, used in treatment of MRSA. Other cell wall inhibitors include:Fosphomycin , beta lactams, bacitracin, cycloserin, vancomycin.